Contraceptive pill of choice in lactating female is:
1. Quinesterol
2. Saheli
3. Progesterone only pill
4. Combined OCP

Correct answer: 3. Progesterone only pill

Explanation: OCP are contraindicated in first six months of breastfeeding. Of the remaining methods, POP has the highest effectiveness. Progesterone only pills can be initiated after six weeks of delivery. POP with LAM has a failure rate with typical usage of only 1/HWY. - LAM (Lactational Amenorrhea) is a method, which will be functional in all women by default as exclusive breastfeeding is recommended for six months.